Which of the following is false about optic nerve?
1. Enters middle cranial fossa through the same foramen as ophthalmic artery
2. Has ciliary ganglion in its medial side
3. Lies medial to Internal carotid artery in middle cranial fossa
4. Contains more fibres in fetal than in adult life

Correct answer: 2. Has ciliary ganglion in its medial side

Explanation: Ans: b (Has ciliary ganglion on its medial side).Ref: Khurana, pg. 453-454Ciliary ganglion is a parasympathetic ganglion situated near the apex of orbit between optic nerve and tendon of lateral rectus. Therefore ciliary ganglion is in its lateral side.Ciliary ganglion has:Sensory root - from naso ciliary nerveSympathetic root - is a branch from internal carotid plexusPara sympathetic root - arises from nerve to inferior oblique It contains pre ganglionic fibres that begin in the Edinger-Westphal nucleus. Postganglionic fibres supply the sphincter pupillae and ciliary muscle.